Consider the following 1. Reactive NST 2.Absence of deceleration 3.Sinusoidal pattern Which of the above findings in an antepartum CTG indicate fetal well being :
1. 1 and 2 only
2. 2 and 3 only
3. 1 and 3 only
4. 1, 2 and 3

Correct answer: 1. 1 and 2 only

Explanation: Reactive NST, i.e. acceleration with fetal movements indicates a healthy fetus.
“Absence of deceleration in the NST is reassuring. Absence of accelerations in the NST may be a sign of fetal compromise.”
Fernando Arias 3/e, p 19
“Sinusoidal pattern is observed with serous fetal anemia, whether from D iso immunization, ruptured vasa previa, fetomaternal haemorrhage or twin to twin transfusion.”
Wiiliams 23/e, p 420